Wire loop lesion seen in lupus nephritis is due to
1. Capillary wall thickening
2. Basement membrane thickening
3. Subepithelial deposits
4. Sclerosis of mesangium

Correct answer: 1. Capillary wall thickening

Explanation: Subendothelial immune complex deposits may create a circumferential thickening of the capillary wall, forming "wire loop" structures on light microscopy. This condition is seen in lupus nephritis. 50% of SLE patients have clinically significant renal involvement Currently there are six pattern of glomerular disease Where, Class 1(Minimal mesangial lupus nephritis) is least common and class 4(Diffuse lupus nephritis) is most common